Concomitant treatment with which of the following can cause OCP failure
1. Enalapril.
2. Metformin
3. Ibuprofen
4. Rifampicin

Correct answer: 4. Rifampicin

Explanation: Rifampicin